Animal hair are/have:
1. Fine
2. Thin
3. Large scales
4. Thick cortex

Correct answer: 3. Large scales

Explanation: Ans. Large scales